Non-modifiable risk factor for hypertension:
1. Gender
2. Obesity
3. Salt intake
4. Cultural characteristic acquired over time

Correct answer: 1. Gender

Explanation: Answer is A (Gender) Age, Gender, Race and Genetic influences are non-modifiable risk factors .fOr hypertension.